Which of the following is a technique of border moulding?
1. Single-step technique.
2. Simultaneous border moulding.
3. Incremental border moulding.
4. All of the above.

Correct answer: 4. All of the above.